Treatment of strangulated hernia is ?
1. Observation
2. Immediate surgery
3. Manual reduction
4. Analgesics

Correct answer: 2. Immediate surgery

Explanation: Ans. is 'b' i.e., Immediate surgery